Most common site of lymphangiosarcoma is
1. Liver
2. Spleen
3. Retroperitoneum
4. Post mastectomy arm

Correct answer: 4. Post mastectomy arm

Explanation: Most common site of lymphangiosarcoma is arm following mastectomy, Occurs commonly after radical lymph nodes dissection- stewart treves syndrome Reference- SRB - 5th edition, sarcoma, page 311.